Mad Cow disease (Bovine Spongiform Encephalopathy) is similar in man to -
1. Alzheimer's Disease
2. Creutzfeldt Jakob Disease
3. Huntington's chorea
4. Pick's disease

Correct answer: 2. Creutzfeldt Jakob Disease